Which of the following antibiotics is NOT indicated for periodontal therapy?
1. Erythromycin
2. Metronidazole
3. Tetracycline
4. Augmentin

Correct answer: 1. Erythromycin